RDA of thiamine per 1000 kcal energy per day is
1. 0.5 mg
2. 0.6 mg
3. 0.7 mg
4. 0.8 mg

Correct answer: 1. 0.5 mg

Explanation: RDA of thiamine per 1000kCal energy per day is 0.5mg.Recommended Daily Allowance of Thiamine It depends on calorie intake (0.5 mg/1000 calories). Requirement is 1-1.5 mg/day. Thiamine is useful in the treatment of beriberi, alcoholic polyneuritis, neuritis of pregnancy and neuritis of old age.Reference: Textbook of Biochemistry by D M Vasudevan, sixth edition, pg no. 392